All are early complications of tracheostomy except-
1. Hemorrhage
2. Pneumothorax
3. Injury to esophagus
4. Trachealstenosis

Correct answer: 4. Trachealstenosis

Explanation: Ans. is 'd' i.e., Tracheal stenosis Complications of tracheostomyImmediate (at the time of operation)Intermediate (first few hours or days)Late (with prolonged use of tube for weeks or months)o Hemorrhageo Apnea o Pneumothorax o Injury to RLNo Aspiration of blood o Injury to esophaguso Bleeding (reactionary or secondary)o Displacement of tubeo Blocking of tubeo Subcutaneous emphysemao Tracheitis and tracheobronchitiso Atelectasis and lung abscesso Local wound infection and granulationso Hemorrhage, due to erosion of major vesselo Laryngeal stenosiso Tracheal stenosiso Tracheo-esophageal fistulao Problem of decannulationo Persistent tracheocutaneous fistula o Problem of tracheostomy scaro Note : Immediate and intermediate complications are early complications.